Oligohydramnios is related which of the following condition?
1. Renal Agenesis
2. Esophageal atresia
3. Anencephaly
4. Imperforate amis

Correct answer: 1. Renal Agenesis

Explanation: ANSWER: (A) Renal agenesisREF: http://en.wikipedia.org/wiki/Oligohydramnios, Williams obstetrics 22nd edition chapter 21 Repeat December 2008, June 2008Oligohydramnios is a condition in pregnancy characterized by a deficiency of amniotic fluid. It is the opposite of polyhydramnios.Diagnosis: Diagnosis is made by ultrasound measurement of the amniotic fluid index (AFI) <5cm. Several different methods exist for calculating AFI, that produce different index numbers below which oligohydramnios is said to be present.Causes: It is typically caused by fetal urinary tract abnormalities such as bilateral renal agenesis (Potters syndrome), fetal polycystic kidneys, or genitourinary obstruction. Uteroplacentalinsufficiency is another common cause. Most of these abnormalities can also be detected by obstetric ultrasound. It may also occur without a determinable cause (idiopathic).Complications: Cord compression, musculoskeletal abnormalities such as facial distortion and clubfoot, pulmonary hypoplasia and intrauterine growth restriction. Amnion nodosum is frequently also present (nodules on the fetal surface of the amnion).Congenital Anomalies Associated with Oligohydramnios:Amnionic band syndromeCardiac--Fallot tetralogy, septal defectsCentral nervous system--holoprosencephaly, meningocele, encephalocele, microcephalyChromosomal abnormalities: triploidy, trisomy 18, Turner syndromeCloacal dysgenesisCystic hygromaDiaphragmatic herniaGenitourinary--renal agenesis, renal dysplasia, urethral obstruction, bladder exstrophy, Meckel-Gruber syndrome, ureteropelvic junction obstruction, prune-belly syndromeHypothyroidismSkeletal--sirenomelia, sacral agenesis, absent radius, facial cleftingTwin-reversed-arterial-perfusion (TRAP) sequenceTwin-to-twin transfusionVACTERL (vertebral, anal, cardiac, trachea-oesophageal, renal, limb) association